Which of the following is not TRUE about bone metastasis?
1. Skeletal metastases are typically unifocal
2. Higher serum level of alkaline phosphatase
3. Most common primary in female is breast
4. Prostate produce osteosclerotic lesion

Correct answer: 1. Skeletal metastases are typically unifocal

Explanation: "Skeletal metastases are typically multifocal, not unifocal" Metastases are usually osteosclerotic and pathologic fractures are common. Osteoblastic lesions are rare and typically seen in carcinoma prostate. Osteoblastic lesion are associated with higher level of alkaline phosphatase and if extensive my produce hypoglycemia. "The commonest source of bony metastases, is carcinoma of the breast; next in frequency are carcinoma of prostate (in males), kidney, lung, thyroid bladder and gastrointestinal tract Ref: Apley's Orthopedics 8/e, Page 193; Robbins 7/e, Page 1303.